Bartonella henselae causes which disease?
1. Bacillary peliosis
2. Chancre redux
3. Rat bite fever
4. Spirillum fever

Correct answer: 1. Bacillary peliosis

Explanation: Ans. is. 'a' i. e., Bacillary peliosis